The indicator used in the autoclave is?
1. Clostridium tetani
2. Bacillus stereothermophilus
3. Bacillus pumilis
4. Bacillus subtilis Var Niger

Correct answer: 2. Bacillus stereothermophilus

Explanation: Sterilization control: for determining the efficacy of moist heat sterilization, spores of Bacillus stearothermophilus are used as the test organism. This is a thermophilic organism with an optimum growth temperature of 55-60oC and its spores require exposure of 12 minutes at 121oC to be killed REF:Ananthanarayan & Panicker's Textbook of Microbiology 8th edition pg no:34